Which of the following is true about upper 1/3' of the rectum?
1. It is covered by peritoneum only anteriorly
2. It is covered by peritoneum on the front, sides and back
3. It has no peritoneal attachments
4. It is covered by peritoneum on the sides and anteriorly

Correct answer: 4. It is covered by peritoneum on the sides and anteriorly

Explanation: Ans. is'd' i.e., It is covered by peritoneum on the sides and anteriorlylRef: Basic Human Anatomy, O'Rahilly, Muller Chapter 36)Upper 1/3'd of rectum Covered by peritoneum on the front and sidesMiddle 1/3"r of rectum Covered by peritoneum on the sides onlyLower 1/3"r of rectum Devoid of peritoneal aitachmerits